All of the following are examples of tumour markers, except:
1. Alpha-HCG
2. AFP
3. NSE
4. CEA

Correct answer: 1. Alpha-HCG

Explanation: Tumor markers Tumor Types Human chorionic gonadotropin Trophoblastic tumors, nonseminomatous testicular tumors a- Fetoprotein Liver cell cancer, nonseminomatous germ cell tumors of testis Carcinoembryonic antigen(CEA) Carcinomas of the colon, pancreas, lulng, stomach, and heart Neuron-specific enolase (NSE) Small-cell cancer of lung, neuroblastoma Alpha HCG is not a tumor marker